Which of the following may be may be detected on the plain abdominal film and is a premalignant condition?
1. Porcelain Gall bladder
2. Limy bile
3. Adenomyosis of gall bladder
4. Cholesterosis

Correct answer: 1. Porcelain Gall bladder

Explanation: Ans. a (Porcelain Gall bladder) (Ref. Bailey and Love Surgery 24th ed., p 1106; Harrison 18thJ p 1880)PORCELAIN GALLBLADDER# Disease with calcification of the gall bladder is called 'porcelain' gall bladder.# Calcium salt deposition within the wall of a chronically inflamed gallbladder may be detected on the abdominal film.# It is premalignant.# It is an indication for prophylactic cholecystectomy.LIMEY BILE# It is frequently related to multiple small stones.# This lesion is not premalignant.Additional Educational points:# X-ray of the gall bladder will show radiopaque gallstones in 10% of patients (While about 80% of renal stones are radiopaque)!# Brown and black stones are pigment stones of GB. Brown more often seen in CBD, while black more common in GB.# Ultrasonography and ERCP are better than CT for detecting biliary stones .